Suspended animation:
1. Is apparent death from which a person can be aroused
2. Is true death from which person cannot be aroused
3. May last for days or weeks
4. Cannot be produced voluntarily

Correct answer: 1. Is apparent death from which a person can be aroused

Explanation: Ans. (A). Is apparent death from which a person can be arousedSuspended animation lasts for few seconds to 1/2 hoursQIt is apparent death from which person can be arousedYoga practitioners produce suspended animation like state voluntarilyThere is no cell deathQ in suspended animation.